Pentavalent immunoglobin is-
1. IgA
2. IgG
3. IgM
4. IgE

Correct answer: 3. IgM

Explanation: IgM IgM is Pentavalent Ig It has max molecular weight It has max sedimentation coefficient IgM is produced first in immune response IgM plays a role in :- 1. Opsonisation 2. Classical complement pathway 3. IgM & IgD are present over B cell surface